Type of collagen seen in vitreous humor?
1. Type I
2. Type II
3. Type III
4. Type IV

Correct answer: 2. Type II

Explanation: Type II cartilage is seen in cartilage and vitreous humor Reference: Harper; 30th edition; Page no: 628 Table no: 50-1